Hirschsprung's disease is due to
1. Loss of ganglion cells in the sympathetic chain
2. Atrophy of longitudinal muscles
3. Failure of migration of neural crest cells from cranial to caudal direction
4. Malformed teania coli

Correct answer: 3. Failure of migration of neural crest cells from cranial to caudal direction

Explanation: .* It is a congenital, familial condition, occurring in newborn due to the absence of ganglion cells-- Auerbach's and Meissner's plexus in anorectum, which may extend proximally either a part or full length of the colon. ref:SRB's manual of surgery,ed 3,pg no 818